Features of Neuroglia cells include all except:
1. Protoplasmic astrocytes are found in grey matter
2. Oligodendrocytes are derived from ectoderm
3. Microglia are mesodermal in origin
4. Central neuroglial cells are derived from Schwann Cells

Correct answer: 4. Central neuroglial cells are derived from Schwann Cells

Explanation: D i.e. Central neuroglial cells are derived from schwann cells Schwann cells form myelin around axons in the peripheral nervous systemQ. They are not found in central nervous system. In CNS myelination is done by oligodendrocyteQ.